Indications for aneurysm surgical repair in case of symptomatic aneurysm without rupture are all except
1. Painful tender aneurysm
2. Aneurysm size < 5cm
3. Thrombosed aneurysm
4. Growth rate more than 5.5cm / year

Correct answer: 2. Aneurysm size < 5cm

Explanation: Aneurysm size more than 5.5cm  is an indication for surgery.